Esters of fat-soluble vitamins are digested by:
1. Pancreatic lipase
2. Cholesterol Esterase
3. Colipase
4. Carboxypeptidase

Correct answer: 2. Cholesterol Esterase

Explanation: Ans. B Cholesterol EsteraseRef: Ganongy 25th ed. pg. 482Cholesterol esterase is a pancreatic lipase activated by bile acids. It causes the following actions* Hydrolysis of cholesterol esters* Hydrolysis of esters of fat-soluble vitamins* Hydrolysis of phospholipidsMost of the fat digestion begins in the duodenum and pancreatic lipase is the most important enzyme. Colipase is activated by trypsin and allows lipase to remain associated with droplets of dietary lipid even in the presence of bile acids.